All of the following are seen in GH deficiency except?
1. Hyperglycemia
2. Stunting
3. Delayed bone age
4. High pitched voice

Correct answer: 1. Hyperglycemia

Explanation: From late in the first year until mid-teens, poor growth and/ or shortness is the hallmark of childhood GH deficiency. It tends to be accompanied by delayed physical maturation so that bone maturation and puberty may be delayed by several years. Severe GH deficiency in early childhood also results in slower muscular development, so that gross motor milestones may be delayed. Some severely GH-deficient children have recognizable, cherubic facial features characterized by maxillary hypoplasia and forehead prominence. These children have a high pitched voice and are stunted. GH deficiency is associated with hypoglycemia. In contrast gigantism or acromegaly is associated with impaired glucose tolerance.